Women carrying BRCA 1 gene are more likely to develop which type of breast carcinoma -
1. Medullary
2. Lobular
3. Colloid
4. Secretory

Correct answer: 1. Medullary

Explanation: "Medullary carcinomas and mucinous carcinomas histological types are more commonly found in BRCA1 carrier".